Dendritic cells located among keratinocytes at all suprabasal levels and belonging to reticuloendothelial system derived from bone marrow are
1. Melanocytes
2. Langerhans cells
3. Lymphocytes
4. Merkel cell

Correct answer: 2. Langerhans cells